Opacity around colonies of Clostridium perfringens is due to -
1. Theta toxin
2. Lecithinase
3. Desmolase
4. Cytokinin

Correct answer: 2. Lecithinase

Explanation: Opacity around colonies of Clostridium perfringens is due to lecithinase. Option 1 Theta-toxin- hemolysin & cytolytic toxin. Option 2 Nagler reaction: Shown by C. perfringens as opalescence on serum or egg yolk media due to Lecithinase C activity of alpha toxin, it splits lecithin into phosphorylcholine and diglyceride in the presence of Ca2+ and Mg2+ ions.(Refer to the image below) It is a neutralisation reaction. Option 3, 4 - Desmolase: It is not produced by Clostridium perfringens. - Cytokinins (CK) are a class of plant growth substances (phytohormones) that promote cell division, or cytokinesis, in plant roots and shoots.